True about maximum isolation period of enteric fever is -
1. Up to 3 days after starting the treatment
2. Till 3 consequent negative stool cultures are obtained from the patient
3. Till the fever subsides
4. Till Widal test becomes negative

Correct answer: 2. Till 3 consequent negative stool cultures are obtained from the patient

Explanation: Man is the only known reservoir of infection., viz cases, and carriers. A case is infectious as long as bacilli appear in urine or stools Ref: 25th edition, Park's Textbook of Preventive and Social Medicine, Page no. 258, 259